Most malignant form of NHL is -
1. Diffuse large cell
2. Small cell lymphocytic lymphoma
3. Follicular cleavage
4. Large cell follicular

Correct answer: 1. Diffuse large cell